Most serious complication of Paget's disease:
1. Osteochondroma.
2. Osteosarcoma.
3. Osteopetrosis.
4. Osteitis deformans.

Correct answer: 2. Osteosarcoma.

Explanation: Development of osteosarcoma is the most serious complication of paget’s disease or osteitis deformans.